Quinine given to a patient of falciparum malaria caused sweating and plapitation, the likely cause is-
1. Cinchonism
2. Hyperglycemia
3. Hypoglycemia
4. Hypoklemia

Correct answer: 3. Hypoglycemia